Aplastic anemia is the adverse effect of :
1. Chloramphenicol
2. Ciprofloxacin
3. Penicillin
4. Gentamicin

Correct answer: 1. Chloramphenicol